STYLOHYOID muscle is supplied by ?
1. Facial
2. Glossopharyngeal
3. Ansa cervical
4. Vagus

Correct answer: 1. Facial

Explanation: Ans. is 'a' i.e., Facial